Influenza virus culture is done on -
1. Chorioallantonic membrane
2. Allantoic cavity
3. Yolk sac
4. ALL

Correct answer: 2. Allantoic cavity

Explanation: Inoculation into the allantoic cavity provides a rich yield of influenza and some paramyxoviruses REF: ANANTHANARAYANAN AND PANIKER'S TEXTBOOK OF MICROBIOLOGY 9TH EDITION PAGE NO.434